Contents of perivitelline space are:-
1. Polar bodies
2. Deutoplasm
3. Secondary oocyte
4. None of above

Correct answer: 1. Polar bodies

Explanation: Cell membrane of secondary oocyte is known as vitelline membrane which is covered by zona pellucida. A perivitelline space appears between vitelline membrane and zona pellucida for the accommodation of polar bodies.